Commonest histological finding in Benign Hypertension is:
1. Proliferative endarteritis
2. Necrotizing arteriolitis
3. Hyaline arteriosclerosis
4. Cystic Medial Necrosis

Correct answer: 3. Hyaline arteriosclerosis

Explanation: The characteristic histological finding in Benign Hypertension is Hyaline arteriosclerosis. Ref: Robert W. Schrier (2007), Section 8, "Hypertension", In the book," Diseases of The Kidney and Urinary Tract", Volume 2, USA, Page 1398;Robbin's Basic Pathology, 7th Edition, Pages 1006-08; Textbook of Pathology By Harsh Mohan, 5th Edition, Pages 711-13